Rate limiting enzyme in cholesterol synthesis
1. HMG CoA synthetase
2. HMG CoA lyase
3. HMG CoA reductase
4. Mevalonate synthetase

Correct answer: 3. HMG CoA reductase

Explanation: Repeated question